Bronchopulmonary aspergillosis is associated with?
1. Keagener syndrome
2. Cystic fibrosis
3. Good Pasture syndrome
4. Silicosis

Correct answer: 2. Cystic fibrosis

Explanation: Answer- B. Cystic fibrosisAllergic bronchopulmonary aspergillosis (ABPA) is a condition characterized by a hypersensitivity response) to theAspergillus (most commonly Aspergillus fumigatus). It occurs most often in patients vith asthma or cystic fibrosisABPA causes airway inflammation, leading to brochiectasis-a condition marked by abnormal dilation of the bronchi and bronchioles.